Eustachian tube passes between:
1. Superior and middle constrictors
2. Above superior constrictor
3. Middle and inferior constrictor
4. Below inferior constrictor

Correct answer: 2. Above superior constrictor

Explanation: Eustachian tube passes through sinus of Morgagni, which is a gap between the base of skull and the upper concave border of superior constrictor muscle.